All are false regarding muscular changes after death, except:
1. Rigor mortis immediately after the death
2. Cadaveric spasm occurs 1 hour after death
3. Rigor mortis involves voluntary muscles & involuntary muscles
4. Cadaveric spasm involves voluntary muscles & involuntary muscles

Correct answer: 3. Rigor mortis involves voluntary muscles & involuntary muscles

Explanation: Feature Rigor mortis Cadaveric spasm Onset Within 1-2 h after death Instantaneous Mechanism of formation Break down of ATP below critical level Not known exactly Muscles involved All the muscles of the body, both voluntary and involuntary Usually restricted to selected group of voluntary muscles Primary flaccidity Precedes rigor mortis Not seen Muscle stiffening Not marked Marked Predisposing factor Nil Sudden death, excitement, exhaustion, fear, fatigue Reaction to electrical stimulus Does not respond Responds Medico-legal significance Indicates time of death Indicates the cause and manner of death